Central dot sign on CT scan is seen in
1. Caroli's disease
2. Primary sclerosing cholangitis
3. Polycystic liver disease
4. Liver hamartoma

Correct answer: 1. Caroli's disease

Explanation: Caroli disease is a congenital disorder comprising of multifocal cystic dilatation of segmental intrahepatic bile ductsalso classified as a type V choledochal cyst, according to the Todani classificationPathologically, belongs to the spectrum of fibropolycystic liver disease which results from in utero malformation of the ductal plateTwo types - simple and periportal fibrosisImaging features:CT/US/ MR:central dot sign = portal vein radicles completely surrounded by dilated bile ductsCholangiography (diagnostic):segmental saccular/fusiform/beaded dilatation of intrahepatic bile ducts extending to the periphery of liver up to 5 cm in diameterbridge formation across dilated luminaintraluminal bulbar protrusionsfrequent ectasia of extrahepatic ducts + CBDComplications:Intraductal stonesCholangitis and AbscessLiver cirrhosisCholangiocarcinomaTodani classification:(Ref: Grainger and Allison's diagnostic radiology 6th edition, page 797)